The time period that elapses between the physic emotional stress and the hair loss is about?
1. 21 days
2. 30 days
3. 3 months
4. 6 months

Correct answer: 3. 3 months

Explanation: C. i.e. 3 months